All are true about bupivacaine Except :
1. Less cardiotoxic than lignocaine
2. Dose increases with adrenaline
3. Long acting
4. Cannot be given in vein

Correct answer: 1. Less cardiotoxic than lignocaine